Most common origin of cerebral metastases is
1. Colon
2. Kidney
3. Malanoma
4. Lung

Correct answer: 4. Lung

Explanation: Metastatic Brain Tumors Metastatic brain tumors are the most common tumors of the brain They out number primary brain tumors by 10 to 1 Location: Cerebral hemispheres (80%) mainly the frontal lobes, cerebellum (15%) and brain stem (5%) Most common primary sites : CA Lung (50%) >breast cancer(15-20%) Metastasis to brain are multiple in >70% of cases Ref: Harrison's 19th edition Pgno :1604